The cytochrome involved in monooxygenase mediated detoxification of drugs is:
1. Cyt P 300
2. Cyt P 400
3. Cyt P 450
4. Cyt P 480

Correct answer: 3. Cyt P 450

Explanation: Cyt P 450